Role of creatine phosphate in muscle ?
1. Helps in gluconeogenesis
2. Provides instant energy
3. Involved in action-contraction coupling
4. Helps in stretch reflex

Correct answer: 2. Provides instant energy

Explanation: Ans. is 'b' i.e., Provides instant energy In muscles, creatine phosphate occurs as a reservoir of high-energy phosphate groups.It provides a quick source of energy for muscle fibres to contract when they need an initial burst of energy.Creatine phosphate helps generation of ATP in exercising muscles by substrate level phosporylation.